Communicability is best measured by
1. Serial Interval
2. Secondary attack rate
3. Case fatality rate
4. Generation time

Correct answer: 2. Secondary attack rate

Explanation: SAR is defined as the number of exposed persons developing the disease within the range of the incubation period, following exposure to the primary case. Hence it shows the communicability.